Limiting amino acid in soyabean is -
1. Threonine
2. Lysine
3. Methionine
4. Tryptophan

Correct answer: 3. Methionine

Explanation: The limiting amino acid in soyabean is methionine.REF.PARK'S TEXTBOOK OF PREVENTIVE AND SOCIAL MEDICINE.Editon-21.Page no.-580